Rinsing of eye with water causes blurring of vision. Which of the following is the TRUE cause of blurring?
1. Elimination of refraction through cornea
2. Extra refraction through water
3. Impurities of water
4. Speed of light is more through water

Correct answer: 1. Elimination of refraction through cornea

Explanation: Corneal refractive power is substantial in air but virtually eliminated when the eye is under water. Under water, the divergent refraction by the cornea is small since the media on its both sides (water outside and anterior chamber liquid inside) have refractive indices not greatly different from that of the cornea itself. Ref: The Sensory Physiology of Aquatic Mammals By Alexander Ya, Page 232